Prophylactic dose of Oseltamivir for infants is?
1. 1 mg/kg/day
2. 3 mg/kg/day
3. 5 mg/kg/day
4. 7 mg/kg/day

Correct answer: 2. 3 mg/kg/day

Explanation: CDC recommendations for H1N1 prophylaxis: NOTE : FOR TREATMENT ; DOSAGE IS BD FOR PROPHYLAXIS ; DOSAGE IS OD Oral oseltamivir for treatment of influenza Age Weight Dose Frequency Duration <1yr 3mg /kg* Twice daily* 5 days* >1yr <15kg 30mg 15-23kg 45mg 23-40kg 60mg >40kg 75mg* Oral oseltamivir for Chemoprophylaxis 3 months-1yr 3mg /kg* once daily* 7 days* >1yr <15kg 30mg 15-23kg 45mg 23-40kg 60mg >40kg 75mg*